The fibre which is the thickest in human nerve is
1. Touch
2. Pain
3. Temperature
4. Proprioception

Correct answer: 4. Proprioception

Explanation: Proprioception is carried by the thickest fibre A alpha (12-20 micrometer). Touch by A beta (5-12 um)Pain, temperature by A delta (2-5 um). Ref: Ganong's Review of medical physiology;25th edition; pg: 94; table 4-1.